Which of the following is used as a thickening agent in dentifrices?
1. Calcium Carbonate, Calcium Phosphate and Calcium Sulphate
2. Sodium Bicarbonate, Aluminium Oxide
3. Sodium Lauryl Sulphate and Sodium Lauryl Succinate
4. Carboxymethyl Cellulose, alginate amylase

Correct answer: 4. Carboxymethyl Cellulose, alginate amylase